Which of the following is the site of Venous Thrombosis in Budd Chiari Syndrome?
1. Infrahepatic inferior vena cava
2. Infrarenal inferior vena cava
3. Hepatic vein
4. Portal vein

Correct answer: 3. Hepatic vein

Explanation: Budd-Chiari Syndrome (BCS) is an uncommon congestive hepatopathy caused by the obstruction of hepatic venous outflow. Patients may present with acute signs and symptoms of abdominal pain, ascites, and hepatomegaly or more chronic symptoms related to long-standing portal hypertension. The obstruction may be thrombotic or nonthrombotic anywhere along the venous outflow system from the hepatic venules to the right atrium. Ref: Current Medical Diagnosis and Treatment, 2012, Chapter 16 ; Scwartz's Principles of Surgery, 9th Edition, Chapter 31